True about nasal myiasis ?
1. Commonly occurs in ethmoidal polys patient
2. Results from the ova of fly chrysomia
3. Treated by nasal saline instillation
4. Cannot cause death of the patient

Correct answer: 2. Results from the ova of fly chrysomia

Explanation: Ans. is 'b' i.e., Results from the ova of fly chrysomia Nasal myiasis (Maggots in nose) It results from the presence of ova of flies particularly chrysomia species in the nose which produce ulceration and destruction of nasal structure. Mostly seen in atrophic rhinitis when the mucosa becomes insensitive to flies laying eggs inside. Clinical features Initial symptoms (3-4 days maggots) :- Intense irritation, sneezing, headache, blood stained disharge, lacrimation. Later :- Maggots may crawl out of nose and there is foul smell. Complications Destruction of nose, sinuses, soft tissues of face, palate and eyeball. Fistulae in nose and palate. Death occurs due to meningitis. Treatment Chloroform water or vapor must be instilled in order to anaesthetize or kill the maggots and so release their grip from the skin.